Vasoconstricting mediator is?
1. Prostacyclin
2. Thromboxane-A2
3. PG D2
4. Lipoxins

Correct answer: 2. Thromboxane-A2

Explanation: Ans. is 'b' i.e., Thromboxane-A2 Thromboxane-A2 causes vasoconstriction. Other three mediators (given in question) cause vasodilatation.